Which ion is added in OPV vaccine acts as stabilizer
1. Sodium
2. Magnesium
3. Chloride
4. Potassium

Correct answer: 2. Magnesium